When performing endodontic surgery on anterior crowned teeth, the ideal surgical flap design is a
1. Full thickness rectangular flap
2. Full thickness triangular flap
3. Submarginal Leubke-Ochsenbein flap
4. Submarginal semilunar flap

Correct answer: 3. Submarginal Leubke-Ochsenbein flap